To assess which of the following, Look Listen Feel technique is used?
1. Airway
2. Breathing
3. Circulation
4. Definitive therapy

Correct answer: 2. Breathing

Explanation: Adequate breathing ensures that sufficiently oxygenated blood is in circulation. Breathing is assessed by the Look-Listen feel technique. The clinician observes the rise and fall of the chest and at the same time feels and listens to the breath sounds.
If the child is breathing adequately, then maintain the head tilt chin-lift and monitor the child. Alternatively, the child can be turned to a lateral position.
If the child does not show any signs of breathing, then oxygen has to be administered to the child under positive pressure using an Ambu bag. Care should be taken to see that the airway is held open using the head tilt chin lift during the process. The mouth to mouth or the mouth to nose techniques are not described here, because it is prudent that every dental setup be equipped with the indispensable and inexpensive Ambu bag.
In addition to being more hygienic, the Ambu bag also delivers 21% oxygen as compared to 18% using the mouth to mouth technique. It can also be attached to an oxygen cylinder to deliver 100% oxygen. Give two full puffs before proceeding to assess circulation.